For pericardial calcifications, which is the best investigation -
1. MRI
2. Transesophageal echocardiography
3. USG
4. CT scan

Correct answer: 4. CT scan

Explanation: CT is the most accurate method of demonstrating the extent and distribution of pericardial calcification. Ref : Suttons Radiology